All are true about ciprofloxacin except ?
1. C/I in pregnancy
2. DNA inhibition
3. Most potent 1st generation fluoroquinolone
4. More active at acidic pH

Correct answer: 4. More active at acidic pH

Explanation: Ans. is 'd' i.e., More active at acidic pH Ciprofloxacin is the most potent first generation FQ. o Ciprofloxacin inhibit DNA gyrase and is contraindicated in pregnancy. It is less active at acidic pH.